Elasticity of the corneal layer of skin is due to the presence of
1. Histidine
2. Keratin
3. Lysine
4. Cysteine

Correct answer: 2. Keratin

Explanation: B i.e. Keratin The elasticity, stability and integrity of stratum corneum of skin is due to disulfide cross linkages between the keratin moleculesQIn the stratum corneum layer, keratohyaline granules are present. These granules form protein profilaggrin, which is degraded into filaggrin (filament aggregating protein), as granular cells transform to keratinized corneum cells. Filaggrin is a hyaline rich protein which functions as interfilamentous glue to aggregate and align the keratin filaments in keratinized cells. Keratohyaline also contain cysteine rich proteins, whose disulfide bonds contribute to the chemical ineness and strengh of the keratinized layer.